Death rates of two countries are best compared by ?
1. Crude death rate
2. Proportional crude death rate
3. Standardized mortality rate
4. Age specific death rate

Correct answer: 3. Standardized mortality rate

Explanation: Ans. is 'c' i.e., Standardized mortality rate